Treatment of hypoglycemia due to insulin is all except
1. Glucagon
2. Glucose IV
3. Adrenaline
4. Candy

Correct answer: 3. Adrenaline

Explanation: Adrenaline is a counter-regulatory hormone. Hypoglycemia is managed by glucose or oral carbohydrates or oral juices or Glucagon other counter regulatory hormones are growth hormone,steroids. Ref: Harrison16th ed. Pg 2185